Best method of treatment of Methyl alcohol poisoning is :
1. Calcium gluconate
2. Ethyl alcohol
3. Amphetamines
4. 1 % Ammonia

Correct answer: 2. Ethyl alcohol

Explanation: B i.e. Ethyl alcohol